Steroid suphatase deficiency is seen in
1. Ichthyosis vulgaris
2. Lamellar Ichthyosis
3. 'X' linked recessive icthyosis
4. None of the above

Correct answer: 3. 'X' linked recessive icthyosis

Explanation: X-linked ichthyosis (abbreviated XLI) is a skin condition caused by the hereditary deficiency of the steroid sulfatase (STS) enzyme that affects 1 in 2000 to 1 in 6000 males. XLI manifests with dry, scaly skin and is due to deletions or mutations in the STS gene. Ref Harrison20th edition pg 1332